2nd constriction of esophagus is due to -
1. Left principal bronchus
2. Arch of arorta
3. Pharyngoesophageal junction
4. None

Correct answer: 2. Arch of arorta

Explanation: Ans. is 'b' i.e., Arch of arorta Esophageal constrictionsNumberDistance from incisorBony levelAnatomical landmark1st2nd3rd4th15 cm (6 inches)22-5 cm (9 inches)27-5 cm (11 inches)37 -5 -40 cm (15-16 inches)C6T4T6T10At its beginning (pharyngoesophageal junction)Crossing of aortic archCrossing of left main bronchusPiercing diaphragm (at lower esophageal sphinctor)